Maze operation is done in which of the following condition
1. Atrial fibrillation
2. Complete heart block
3. Ebstein anomaly
4. Truncus arteriosus

Correct answer: 1. Atrial fibrillation

Explanation: Surgical ablation of AF is typically performed at the time of other cardiac valve or coronary artery surgery and, less commonly, as a stand-alone procedure. The Cox surgical Maze procedure is designed to interrupt all macroreentrant circuits that might potentially develop in the atria, thereby precluding the ability of the atria to fibrillate.